Ethambutol is avoided in children as it causes -
1. Dental maldevelopment
2. Visual disturbance
3. Renal failure
4. Growth retardation

Correct answer: 2. Visual disturbance

Explanation: Ans. is 'b' i.e., Visual disturbanceo The main adverse effect of Ethambutol is retrobulbar optic neuritis (unilateral or B/L).o This causes loss of visual activity, red-green colour blindness, central scotoma, peripheral vision loss.o The changes reverse, if the t/t is stopped promptly if not, the patient may go blind.o Children below 6 years of age are not given ethambutol because children are unable to report early visual deterioration.o Ethambutol also produces hyperuricemia.